Hand foot syndrome is an adverse effect of ?
1. 5-Flurouracil
2. Bleomycin
3. Etoposide
4. Actinomycin D

Correct answer: 1. 5-Flurouracil

Explanation: Ans. is 'a' i.e., 5-Flurouracil